Paraneoplastic erythrocytosis seen in which malignancy?
1. Renal Ca
2. Breast Ca
3. Thyroid Ca
4. Adrenal Ca

Correct answer: 1. Renal Ca

Explanation: (A) Renal Ca # ERYTHROCYTOSIS> Ectopic production of erythropoietin by cancer cells causes most paraneoplastic erythrocytosis.> The ectopically produced erythropoietin stimulates the production of red blood cells in the bone marrow and raises the hematocrit,> Approximately 3% of patients with renal cell cancer, 10% of patients with hepatoma, and 15% of patients with cerebellar hemangioblastomas have erythrocytosis. In most cases the erythrocytosis is asymptomatic.